Prior to discharge of a patient of H. influenza meningitis the essential investigation to he done is ?
1. ABER
2. EEG
3. Developmental screening test
4. ECG

Correct answer: 1. ABER

Explanation: Ans. is 'a' i.e., ABER o After H. influenza meningitis sensorineural hearing loss occurs in 5-10% of patients during long term follow up. o Therefore Auditory Brain Stem Evoked Response is done to check the peripheral auditory system.